Time interval between inoculation of infection to maximum infectivity is -
1. Lead time
2. Median incubation period
3. Generation time
4. Serial inverval

Correct answer: 3. Generation time

Explanation: An infection becomes apparent only after a certain incubation period which is defined as the time interval between invasion by an epidemiological agent and the appearance of first sign or symptoms. During incubation period the infectious agent undergoes multiplication in the host Incubation period is of fundamental importance in epidemiological study tracing the source of infection and contacts Period of surveillance Immunization Identifying point source or propagated epidemics Prognosis (refer pgno:100 park 23rd edition)